Most effective method of treatment of digitalis toxicity is:
1. Hemodialysis
2. Cardioversion
3. Digoxin antibody
4. Atropine

Correct answer: 3. Digoxin antibody